Which of the following is not used for removing sub gingival calculus
1. Sickle scalers
2. Hoe
3. Chisel
4. File scaler

Correct answer: 1. Sickle scalers